Tattooing around the entry wound is seen in:
1. Contact shot
2. Close shot
3. Distant shot
4. All of the above

Correct answer: 2. Close shot

Explanation: Ans. Close shot